Carrier state does not exist for:
1. Hepatitis B virus
2. Hepatitis A virus
3. Non A Non B Hepatitis
4. Delta agent

Correct answer: 2. Hepatitis A virus

Explanation: Ans. is 'b' i.e. Hepatitis A virus(Ref: Harrison, 18th/e, p. 2546; 19th/e, p. 2006)CarrierPresentAbsentHBV HAV HCV HEV HDV (only with HBV ) Remember: Non A, Non B hepatitis is HCV.